Primaquine may cause hemolysis in -
1. G- 6-PD deficiency
2. NADP - deficiency
3. Methemoglobin reductase deficiency
4. Crabb's disease

Correct answer: 1. G- 6-PD deficiency

Explanation: Ans. is 'a' i.e., G-6PD deficiency o Erythrocytes are vulnerable to oxidative injuries by a variety of endogenous and exogenous oxidants,o Glucose 6-phosphate dehydrogenase prevent such oxidative damage by maintaining the supply of reduced glutathione which inactivates such oxidants.In the absence of G 6PD therefore patient may experience an acute hemolytic crisis within hours of exposure to oxidants stress.DRUGS AND CHEMICALS CAUSING HEMOLYSIS IN G-6P.D DEFICIENCYAntimalarialNitrofuranso PrimaquineQa NitrofurantoinQo PamaquineQo Nalidixic acidSulphadrugso Furazolidoneo SulphapyridineQMiscellaneouso SulfanilamideQo Napthalineo SulfadimidineQo Vitamin k analogueQo Daps oneQo Toluidine blueo SeptranQo TrinitrotolueneAnalgesicso Probenecido Acetanicido Dimercaprol (BAC)o Acetyl salicylic acidQ o Phenacetin